One of the following chronic poisoning mimics 'mumps'?
1. Arsenic
2. Mercury
3. Iodine
4. Phosphorous

Correct answer: 3. Iodine

Explanation: Chronic poisoning called 'Iodism' can occur due to prolonged use of iodine salts. The common clinical features of iodism are metallic taste, anorexia, parotid swellings sometimes referred to as iodide mumps, lymphadenopathy, rhinorrhoea, stomatitis, and conjunctivitis.RK Sharma concise textbook of forensic medicine 3e pg: 243